True regarding presentation of Primary TB is:
1. Bilateral pleural effusion with negative tuberculin test
2. Unilateral hilar lymphadenopathy
3. Sustained chronic pyrexia
4. B/L pleural effusion with positive tuberculin test

Correct answer: 2. Unilateral hilar lymphadenopathy

Explanation: TB in young children is almost invariably accompanied by hilar or paratracheal lymphadenopathy due to the spread of bacilli from the lung parenchyma through lymphatic vessels.